True about Cinacalcet
1. Calcimimmetic
2. Calciuric
3. Decreases calcium absorption
4. Calcitonin

Correct answer: 1. Calcimimmetic

Explanation: The extracellular calcium-sensing receptor (CaR) on the parathyroid cell surface negatively regulates the secretion of PTH. Activation of the receptor decreases secretion of PTH, thereby decreasing bone turnover. Calcimimetics, such as cinacalcet, amplify the sensitivity of the CaR to extracellular calcium, altering the set point and thereby decreasing PTH production.Used in secondary hyperparathyroidismRef: Bailey and Love 27e pg: 831